Thinnest part of the skull
1. Lambdoid suture
2. Temporal part of bone
3. Pterion
4. Occiput

Correct answer: 3. Pterion

Explanation: The anterior part of the floor of the temporal fossa is crossed by an H shaped suture where four bones,frontal,parietal,greater wing of sphenoid and temporal adjoin each other.This area is termed the pterion. REF.B D Chaurasia's Human Anatomy VOL.3,Fourth edition